Which of the following is not a tertiary amine
1. Atropine
2. Hyoscine
3. Glycopyrolate
4. Physostigmine

Correct answer: 3. Glycopyrolate

Explanation: Refer kDT 7/e p 108,113 The structure of tertiary and quaternary amine is depicted in the picture As seen in the diagram, quaternary amine are ionized and thus water soluble. These drugs are not able to cross the blood brain barrier Atropine hyoscine and physostigmine are tertiary amines (and thus lipid soluble) and can cross blood brain barrier whereas glycopyrrolate is quaternary amine and cannot cross the blood brain barrier